During orthodontic movement of maxillary central incisor, centre of rotation is applied to apex then it shows:
1. Controlled tipping
2. Uncontrolled tipping
3. Translation
4. Intrusion

Correct answer: 1. Controlled tipping